Foreign body goes into right bronchus as it is -
1. Wider and vertical
2. Narrow and horizontal
3. Wider and horizontal
4. None

Correct answer: 1. Wider and vertical

Explanation: Ans. is 'a' i.e., Wider and verticalo Because the right bronchus is the wider and more vertical in direct continuation of trachea, foreign bodies tend to enter the right instead of left bronchus,o From there, they usually pass into the middle or lower lobe bronchi.